The best monitor of the level of analgesia is:
1. Verbal response.
2. Touch response.
3. Optic response.
4. All of the above.

Correct answer: 1. Verbal response.

Explanation: Verbal response is the best monitor to check the level of analgesia.